Fol1owing are major criteria of rheumatic fever, except
1. Chorea
2. Arthritis
3. Carditis
4. Prolonged P-R interval

Correct answer: 4. Prolonged P-R interval

Explanation: The diagnosis of acute rheumatic fever is made based on serologic evidence of previous streptococcal infection in conjunction with two or more of the so-called Jones criteria: (1) carditis; (2) migratory polyarthritis of large joints; (3) subcutaneous nodules; (4) erythema marginatum skin rashes; and (5) Sydenham chorea, a neurologic disorder characterized by involuntary purposeless, rapid movements (also called St. Vitus dance). Minor criteria such as fever, arthralgias, ECG changes, or elevated acute phase reactants also can help support the diagnosis. (Robbins Basic pathology,9th edition.pg no.392)